Unconjugated hyperbilirubinemia with increased urobilinogen is seen in
1. Hemolytic anemia
2. Liver cirrhosis
3. Bile duct obstruction
4. Sclerosing Cholangitis

Correct answer: 1. Hemolytic anemia